Cubitus valgus is seen in -
1. Lateral condyle of humerus
2. Intercondylar of humerus
3. of the olecranon
4. Head of the radius

Correct answer: 1. Lateral condyle of humerus

Explanation: Ans. is 'a' i.e., Lateral condyle of humerus o Fractures commonly showing cubitus valgus deformity due to malunion :# Fracture lateral condyle humerus# Monteggia Fracture Dislocationo Complications of lateral condylar humerus fractures# Cubitus valgus# Cubitus Pseudovarus (lateral spur)# Tardy ulnar nerve palsy# Osteonecrosis of the trochlea